Which product of arachnoid acid metabolism has anti inflammatory property?
1. Prostacyclin
2. TGF-beta
3. Lipoxin
4. Leukotrienes

Correct answer: 3. Lipoxin

Explanation: Arachidonic acid pathway